A 72-year-old woman complains of a cramplike pain in her thigh and leg. She was diagnosed as having a severe intermittent claudication.Following surgery, an infection was found in the adductor canal, damaging the enclosed structures. Which of the following structures remains intact?
1. Femoral artery
2. Femoral vein
3. Saphenous nerve
4. Great saphenous vein

Correct answer: 4. Great saphenous vein

Explanation: The Great Saphenous Vein remains intact because it is not in the Adductor Canal. The Adductor Canal contains the Femoral Vessels, the Saphenous Nerve, and the Nerve to the Vastus Medialis.